Lepromin test is strongly positive in
1. LT (Lepromatous leprosy)
2. TB (Tuberculoid type)
3. BL (Borderline lepromatous)
4. BB (Borderline tuberculoid)

Correct answer: 2. TB (Tuberculoid type)

Explanation: Ans. b (TB (Tuberculoid type)) (Ref. Park PSM 20th/158, 258; Ananthanarayan Microbiology 4th ed., 365))Rook's textbook of dermatology 29.1-29.19:Lepromin test is strongly positive in patient with good CMI, i.e., tuberculoid type, and gets weaker as one passes through the spectrum of lepromatous end, the typical lepromatous case is lepromin negative indicating a failure of CMI.LEPROMIN TEST# Nonspecific test# Positive in majority of adults in regions where leprosy is endemic.# Cannot be used as diagnostic test.# Great value in classifying a case of leprosy.# Useful tool in evaluating the immune status of leprosy patient.# Great value in estimating the prognosis in case of leprosy of all types.# Strongly positive in typical tuberculoid case0 and positivity getting weaker as one passes through the spectrum to lepromatous end.# Typical lepromatous case is Lepromin negative. Q# Mitsuda first described Lepromin test.- Intradermal injection in Lepromin antigen is typically biphasic in reaction, early Fernandez reaction characterized by erythema and induration in 24-48 hours and lasting for 3-5 days, analogous to tuberculin test, but of no significance: late is Mitsuda reaction in 4 weeks (peak) and subsides with ulceration, it is the measure of CMI.# Principle of the test: Delayed hypersensitivity reaction# Lepromin used:- Human type- Armadillo type- Dharmendra antigen# Purpose of the test:- For classification of leprosy- For assessment of prognosis and response to treatment (not used for diagnosis).0- To assess resistance of the individual- To verify the identity of candidate Lepra bacillus